In Fothergill's operation the following are undertaken EXCEPT :
1. Amputation of cervix
2. Anterior colporrhaphy
3. Colpoperineorrhaphy
4. Plication of round ligament

Correct answer: 4. Plication of round ligament

Explanation: Plication of round ligament